Amsler grid test is used for diagnosis of
1. Retinitis pigmentosa
2. Age-related macular degeneration
3. Optic atrophy
4. Choroiditis

Correct answer: 2. Age-related macular degeneration

Explanation: Ans. b (Age related macular degeneration) (Ref. Clinical ophthalmology by By Jack J. Kanski Ip. 383)THE AMSLER GRID# used to test the macula, the very central part of the retina (the presence of central field defects or metamorphopsia). The test is simply a grid made of evenly spaced horizontal and vertical lines. A small dot is located in the center of the grid for fixation.# The Amsler grid is a grid of lines used to test for Age-Related Macular Degeneration (ARMD). Each eye is tested individually, with any perceived distortion of the grid considered to be a positive test.# Using Amsler grid is the simplest way for people with ARMD and Stargardt's to monitor their progress.# It contains 7 charts and 400 squares.GroupDefinitionNo AMDLess than 5 small drusen {<63 mm) within 3000 mm from foreal center in the study eyeMild AMDMore than 5 small srusen and /or less than 5 intermediate drusen (<63 mm but <125 mm) within 3000 mm from foveal center in the study eyeIntermediate AMDMore than 5 intermediate drusen and any large drusen (>125 mm) within 3000 mm from foveal center in the study eyeNeovascular AMDActive CNV with less than 50% fibrotic component and visual acuity >20/160Educational Points:# Ishihara chart is used to detect congenital color defects.# Amsler sign: noted in patients with Fuchs' heterochromic cyclitis (bleeding from neovascularized vessels following AC paracentesis).